The most common cause of Urinary Ascitis is:
1. Pelviureteral junction obstruction
2. Posterior urethral valves
3. Urethral structure
4. None of the above

Correct answer: 2. Posterior urethral valves

Explanation: Important points about posterior urethral valves:
• Symmetrical folds of urothelium.
• Common distal to verumontanum.
• Occur in males only.
• MC cause of urinary obstruction (Urinary Ascites) in male infant.
• Cause obstruction to passage of urine and catheter.
• Diagnosis is by VCUG and Endoscopy.